Which of the following are intracellular events occurring in fibroblast during synthesis of collagen-
1. Hydrolysis of procollagen to collagen
2. Glycosylation of proline
3. Formation of triple helix
4. Formation of covalent cross link b/w fibrils

Correct answer: 3. Formation of triple helix

Explanation: Formation of triple helix (of pre-a-chains) takes place intracellularly in RER.
Formation of a cross-link between fibrils (i.e. self-assembly of tropocollagen monomers into mature collagen fiber) occurs extracellularly after secretion from fibroblasts.
Glycosylation also occurs intracellularly, but its glycosylation of hydroxylysine (not of proline).